Post mortem appearance of haemorrhagic spots in mucosa is seen in:
1. Mercury
2. Strychnine
3. Thallium
4. Arsenic

Correct answer: 4. Arsenic

Explanation: Ans: d (Arsenic) Ref: Reddy, 27th ed, p. 4 73Haemorrhagic spots in mucosa is seen in arsenic poisoningArsenic:It is one of the most popular homicidal poisonIt is tasteless, odourless and mixed with foodFeatures of arsenic poisoning> Fatal dose 120- 200 mg> Mees line in nails> Haemorrhagic spots in mucosa> Raindrop pigmentation -> measles like fading> Addison like disease -> due to pigmentation> Poisoning resembles cholera> Hyperkeratosis of palms and soles> Red velvety stomach mucosa> Subendothelial petechial hemmorages> Arsenic neuritis resembles that of chronic alcoholismDetectionArsenic is rapidly cleared from the body, so blood samples are useful only in acute poisoningIn chronic poisoning - Hair, nails and skin samples are preservedMaximum amount is seen in liver than skin.It can be detected even in decomposed bodiesMarsh test and Reinsch's test are done to detect arsenicTreatmentFreshly prepared ferric chloride.